The striated vertebra is seen in -
1. TB spine
2. Haemangioma
3. Chordoma
4. Metastasis

Correct answer: 2. Haemangioma

Explanation: In hemangioma there is a loss of horizontal striation and prominence of vertical striation giving vertebra a typical striated appearance on radiography.